The marker for B lymphocyte is -
1. CD 19
2. CD 68
3. CD 34
4. CD 4

Correct answer: 1. CD 19

Explanation: Ans. is 'a' i.e., CD 19